A diabetic patient with autonomic neuropathy presents with dizziness, hypotension during early morning when waking from bed. Drug of choice for this condition?
1. Dopamine / Dobutamine
2. Isoproterenol
3. Clonidine
4. Midodrine

Correct answer: 4. Midodrine

Explanation: DOC for Postural hypertension SBP decrease > 20 mmHg DBP decrease >10 mmHg On Supine - Standing 3 minutes [?]1 agonist MOA - VC Clonidine - (a2 agonist) Isoproterenol - nonselective b- adrenoreceptor Isoproterenol - nonselective b- adrenoreceptor Dobutamine - b1 adrenoreceptor